Bluish discoloration of flank is known as:
1. Grey turner sign
2. Cullen sign
3. Trousseau sign
4. None

Correct answer: 1. Grey turner sign

Explanation: Ans. (a) Grey Turner signRef: Sabiston 20th edition Page 1526* Flank discoloration -- Grey turner* Peri umbilical -- Cullen sign* Inguinal -- Fox sign